In conversion disorder all are found except-
1. Jealousy
2. Paralysis
3. Anaesthesia
4. Abnormal gait

Correct answer: 1. Jealousy

Explanation: Ans. is 'a' i.e., Jealousy o Symptoms of conversion disorder:Sensory:- Anesthesia, paresthesia, hemianesthesia, deafness, blindness, tubular vision.Motor .--Abnormal movement, paralysis, weakness, gait disturbances, aphonia, torticollis, opisthotonus, blephrospasm.